A researcher draws unbiased sample of 100 adult delhites and find that their mean weight is 72 kg with a standard deviation of 1.5. 95% of wt of delhites shall be between:
1. 66 and 78 kg
2. 69 and 75 kg
3. 70.5 and 73.5 kg
4. None of the above

Correct answer: 2. 69 and 75 kg

Explanation: In the given question, n = 100 adult Delhites, mean weight (u) = 72kg, standard deviation (SD) = 1.5 95% wt of delhites = Mean +- 2SD (u +- 2SD) = 72 +- 2 (1.5) = 72 +- 3 =b/w 69 & 75 kg wt